Karyotyping under light microscopy is
1. L Banding
2. G banding
3. C Banding
4. FUdR banding

Correct answer: 2. G banding

Explanation: B i.e. G banding [Ref: Nagesh Rao: Human genetics